Rickettsial pox is caused by?
1. Rickettsia ricketsiae
2. Rickettsia akari
3. R. typhi
4. Rickettsia coonri

Correct answer: 2. Rickettsia akari

Explanation: Rickettsia akari REF: Park 20th edition page 262 table 1 RICKETTSIAL DISEASE: Disease Rickettsial agent Insect vector Mammalian reservoir Typhus group Epidemic typhus R. prowazekii Louse Human Murine (Endemic)typhus R. typhi Rat flea Rodent Scrub typhus R. tsutsugamushi Mite' Rodent Spotted fever group Indian tick typhus R. conorii Tick* Rodent , Dogs Rocky mountain spotted fever R. rickettsii Tick* Rodent , Dogs Rickettsial pox R. akari Mite* Mice Others Q fever C. burnetii Nil Cattle, sheep, goat Trench fever Rochalemaea Quintana Louse Human